Staphylococcus differs from streptococcus by -
1. Coagulase test
2. Catalase test
3. Phasphatase
4. Gram negative

Correct answer: 2. Catalase test

Explanation: Catalase test - To detect the presence of enzyme catalase in a bacterium. Not found in anaerobes. To differentiate staphylococci from streptococci. Catalase +ve = Staphylococcus species * Catalase -ve = Streptococcus species